In Subcoracoid dislocation nerve injured is:
1. Median
2. Ulnar
3. Radial
4. Axillary

Correct answer: 4. Axillary

Explanation: Axillary